The distance between the bottom of calculus and alveolar crest in human periodontal pocket is constant having an approximate length of
1. 0.97 mm
2. 1.97 mm
3. 2.97 mm
4. 3.97 mm

Correct answer: 2. 1.97 mm